Side effects of timolol maleate include:
1. Asthma
2. Depression
3. Hypotension
4. All of these

Correct answer: 4. All of these